Factors contributing towards the development of duodenal ulcer are:
1. Lysolecithin, gastric acid, Alcohol Abuse
2. Prostaglandin, smoking and alcohol abuse
3. Gastric acid, smoking and alcohol abuse
4. Alcohol abuse, lysolecithin and smoking

Correct answer: 3. Gastric acid, smoking and alcohol abuse

Explanation: Etiology Of Peptic Ulcers Acute Peptic Ulcer NSAIDS ingestion Stress: Cushing ulcer after cerebral trauma, Curling ulcer after burn injury or any kind of shock. Sepsis: Undrained pus may be responsible for acute ulcer. Steroids Chronic gastric ulcer: NSAIDs Ingestion: Disrupts the prostaglandin driven support of the mucosal barrier. Helicobacter pylori: H. Pylori is seen in almost 90% of cases of duodenal ulcer and 70% of cases of gastric ulcer. Pyloroduodenal reflux: Regurgitate bile and other duodenal juices. Mucosal trauma: By mechanical effect of food Diet and smoking: Irregular diet, spicy food, excessive drinking of tea and coffee, alcohol, cigarette smoking has a definite relation with both gastric and duodenal ulcers. Emotional factors: Anxiety, stress and strain Liver disease: Ulceration of both stomach and duodenum have co-existed with disease of the liver particularly cirrhosis. It may be due to increase in blood supply to the gastric mucosa and overproduction of histamine in stomach wall to stimulate the parietal cells. Chronic duodenal ulcer: Acid hypersecretion Genetic factors: Persons of blood group 'o' who do not posses AB antigen are peculiarly prone to develop duodenal ulcer. Endocrine disorders: Zollinger Ellison syndrome, Hyperparathyroidism, Multiple adenoma syndrome ( MEN-I) and cushing syndrome ( because of high level of endogenous steroids) Chronic liver disease Chronic lung disease Chronic pancreatitis Emotional factors Diet and smoking H. Pylori Decrease in bicarbonate production Ref: Textbook Of Surgery By S. Das 3/e, Page 818.